When a person changes position from standing to lying down, following change is seen:
1. Heart rate increases
2. Venous return to heart increases immediately
3. Cerebral blood flow increases
4. Blood flow at apices of lung decreases

Correct answer: 2. Venous return to heart increases immediately

Explanation: B i.e. Venous return to heart increases immediately In standing posture, 300- 500m1 of blood pools in venous capacitance vessels of lower extremities, which is immediately returned towards heartQ on assuming lying down posture. Cardiovascular system Onlying On standing - Stroke volume - Cardiac output - Venous return - Central blood pool Increase Decrease - Central venous pressure - Arterial BP - Abdominal & limb flow - Heart rate - Peripheral venous pooling - Total peripheral resistance Decrease Increase - Abdominal & limb resistance - Small vein pressure